Wof bones is affected more with glucocorticoid induced osteoporosis
1. Humerus
2. Femur
3. Radius
4. vertebra

Correct answer: 4. vertebra

Explanation: Adverse effects:- Osteoporosis Especially involving vertebrae and other flat spongy bones. Compression fractures of vertebrae and spontaneous fracture of long bones can occur, especially in the elderly. Radiological evidence of osteoporosis is an indication for withdrawal of corticoid therapy. Corticosteroid induced osteoporosis can be prevented/arrested by calcium supplements + vit D, and by estrogen/raloxifene or androgen replacement therapy in females and males respectively. However, bisphosphonates are the most effective drugs. Avascular necrosis of head of femur, humerus, or knee joint is an occasional abrupt onset complication of high dose corticosteroid therapy. Ref:- kd tripathi; pg num:-293